Intraocular Pressure is lowered by A/E (or increased by)
1. Ketamine
2. Morphine
3. Halothane
4. Thiopentane

Correct answer: 1. Ketamine

Explanation: A i.e. Ketamine